Age group for concrete operational stage:
1. 0-2 yrs
2. 2-6 yrs
3. 7-12 yrs
4. 11-15 yrs

Correct answer: 3. 7-12 yrs

Explanation: According to Piaget Cognitive theory, the sequence of development has been categorized into 4 major stages.
• Sensorimotor stage (0 to 2 yrs)
• Pre-operational stage (2 to 6 yrs)
• Concrete operational stage (7 to 12 yrs)
• Formal operational stage (11 to 15 yrs)